Wickhams stria seen in-
1. lichen niditus
2. Lichenoid eruption
3. Lichen striates
4. Lichen Planus

Correct answer: 4. Lichen Planus

Explanation: LICHEN PLANUS:- Inflammatory T cell mediated auto immune disorder affecting skin, hair,nails and mucous membranes.Four Ps- purple , polygonal and pruritic papule.Classic lesion- small polygonal shaped, and red/ violet, flat topped papule. Surface is slightly shiny/ transparent,and a network of fine,white lines called 'Wickhams striae' , small grey white puncta is also seen. IADVL textbook of dermatology PAGE 1070